Use of morphine should be avoided in all of the following patients EXCEPT ?
1. Ischemic heart disease patients
2. Bronchial asthma patients
3. Elderly male patients
4. Biliary colic patients

Correct answer: 1. Ischemic heart disease patients